Putting profit ahead of health as a cause of disease is provided by which theory of sociology:
1. Feminist
2. Parsonian
3. Marxist
4. Foucauldian

Correct answer: 3. Marxist

Explanation: THEORIES OF DISEASE CAUSATION IN SOCIOLOGY Marxist theory: Is concerned with the relationship between health and illness and capitalist social organization. Cause of disease is putting profit ahead of health. Feminist theory: Disease occurs d/t role of women enforced by men. Parsonian theory: Disease occur d/t social constraints which arise d/t social demands. Foucauldian theory: Disease occurs, population is segregated into groups, making them easier to control. McKneown theory of TB: Whatever reduction of incidence/ prevalence of TB is only d/t Socio-environmental conditions.